Marker of fecal contaminatin is -
1. A scaris
2. E. coli
3. guinea worm presence
4. Balantidium coli

Correct answer: 2. E. coli

Explanation: Ans. is 'b' i.e., E. coli